Gumma occurs in:
1. Primary stage of Syphilis
2. Secondary stage of Syphilis
3. Tertiary stage of Syphilis
4. Primary tuberculosis

Correct answer: 3. Tertiary stage of Syphilis